All of the following structures arise from Mesonephric duct except
1. Appendix of Testis
2. Epididymis
3. Ductus Deferens
4. Ejaculatory duct

Correct answer: 1. Appendix of Testis

Explanation: Appendix of the testis is from the paramesonephric duct.The mesonephric ducts give rise to the following structures in males1. Ureteric buds from which the ureters, pelves, calyces and collecting tubules of the kidneys are derived.2. Trigone of the bladder.3. Posterior wall of the part of the prostatic urethra, cranial to the openings of the ejaculatory ducts.4. Epididymis.5. Ductus deferens.6. Seminal vesicles.7. Ejaculatory ducts.8. Mesodermal part of the prostate.9. Appendix of epididymisReference: Inderbir Singh Embryology; 10th edition; Page no: 316